Which of the following condition is associated with Aschoff s nodules?
1. Rheumatic carditis
2. Libman-Sacks endocarditis
3. Subacute bacterial endocarditis
4. Non-bacterial Thrombotic endocarditis

Correct answer: 1. Rheumatic carditis

Explanation: Aschoff nodule is a pathognomonic histological lesion seen in rheumatic fever. It is not seen in first 3-4 weeks of acute rheumatic fever. Mature aschoff nodules are 1mm to 1cm in size. It consist of a perivascular infiltrate of aschoff's cells and antischkow cells arranged in a rosette around an avascular center of fibrinoid. Other cells found in aschoff body are polymorphonuclear cells and lymphocytes. Ashcoff cell has 1-5 nuclei and basophilic cytoplasm. Antischkow cell is a uninucleate cell with eosinophilic cytoplasm. It is normally present in the heart but due to active inflammation of acute rheumatic fever an increase in cytoplasm leads to owl eyed appearance of cell. Ref: A Handbook of Rheumatic Fever By Alok Ranjan, Page 8 ; Rubin's Pathology: Clinicopathologic Foundations of Medicine By Raphael Rubi, 6th Edition, Page 514 ; Internal Medicine: An Illustrated Radiological Guide By Jarrah Ali Al-Tubaikh, Page 176